Orthodontic extrusion of intruded permanent incisor can prevent
1. Replacement resorption
2. Calcification
3. Extraction
4. Non-vitality

Correct answer: 1. Replacement resorption